In which of the following types of Food poisoning, fever is a predominant symptom?
1. Clostridium perfringens food poisoning
2. Clostridium botulinum food poisoning
3. Staphylococcal food poisoning
4. Salmonella food poisoning

Correct answer: 4. Salmonella food poisoning

Explanation: Ans. D. Salmonella food poisoningFever is a predominant symptom in Food poisoning due to GN organism due to systemic effect of LPS.